Which of the following clinical condition is associated with 'Herbert pits'?
1. Trachoma
2. Psoriasis
3. Spring catarrh
4. Fungal keratitis

Correct answer: 1. Trachoma

Explanation: Trachoma is usually caused by C trachomatis serovars A, B, Ba, or C. In established trachoma, there may also be superior epithelial keratitis, sub epithelial keratitis, pannus, or superior limbal follicles, and ultimately the pathognomonic cicatricial remains of these follicles, known as Herbert's pits -- small depressions covered by epithelium at the limbo corneal junction. The associated pannus is a fibrovascular membrane arising from the limbus, with vascular loops extending onto the cornea. Ref: Nijm L.M., Garcia-Ferrer F.J., Schwab I.R., Augsburger J.J., Correa Z.M. (2011). Chapter 5. Conjunctiva & Tears. In P. Riordan-Eva, E.T. Cunningham, Jr. (Eds), Vaughan & Asbury's General Ophthalmology, 18e.